Aspirin is used for secondary prevention of ischemic heart disease because it:-
1. Inhibits TXA2 synthesis by platelets
2. Inhibit prostacyclin synthesis
3. Inhibits release of EDRF
4. Inhibit synthesis of endothelins

Correct answer: 1. Inhibits TXA2 synthesis by platelets

Explanation: Aggregatory substances: TXA2 ADP Inhibits aggregation: PGI2. Aspirin is Irreversible inhibitor of COX - thus preventing TXA2 formation & aggregation of PLATELETS.